All are true about warfarin except -
1. It causes inhibition of vitamin K dependent doting factors
2. T1/2 36 hours
3. Crosses placenta
4. Dose is increased in liver disease

Correct answer: 4. Dose is increased in liver disease

Explanation: Ans. is 'd' i.e., Dose is increased in liver disease Effect of liver disease on warfarin o In liver diseases the dose of oral anticoagulats needs to be decreased because in liver disease the hepatic synthesis of clotting factors is reduced. o Thus there is already a deficiency of clotting factors (i.e. there is preexisting anticoagulant state). o Administration of warfarin is this state increases the risk of bleeding. about other options o Warfarin is an indirectly acting anticoagulant, i.e. it inhibits vitamin K which in turn inhibits coagulation factors. o T1/2 of warfarin is 36 hrs. o Warfarin can cross placenta and cause fetal warfarin syndrome. Therefore it is contraindicated pregnancy. Patient is switched to heparin from warfarin during pregnancy.